HPV vaccine is:
1. Monovalent
2. Bivalent
3. Quardrivalent
4. Bivalent & quadrivalent

Correct answer: 4. Bivalent & quadrivalent

Explanation: Currently two Human Papilloma Virus (HPV) vaccines are available in India as a protection against cervical cancer Gardasil vaccine: HPV types 6, 11, 16, 18 (Quadrivalent) Cervarix vaccine: HPV types 16, 18 (Bivalent)